Which of the following is not a cause for interstitial keratitis
1. Syphillis
2. Leprosy
3. Tuberculosis
4. Pneumococcus

Correct answer: 4. Pneumococcus

Explanation: Pneumococcus Interstitial keratitis Corneal stromal inflammation without epithelial involvement. Infective causes are: *Syphillis * TB * Leprosy *Acanthamoeba